Arthritis mutilans is a feature of?
1. Lichen planus
2. Psoriasis
3. Staphylococcal scalded skin syndrome
4. Eczema

Correct answer: 2. Psoriasis

Explanation: PSORIATIC ARTHRITIS Classical (DIP type) most commonly involving the distal interphalangeal joints and less commonly the knees, hips, ankles, and wrists; Asymmetric oligo-articular type (MC type) Symmetrical polyarticular type Disease limited to the spine (psoriatic spondylitis). Arthritis mutilans(X-Ray shows pencil in cup sign, pestle in mortar sign)